Which of the following is long acting insulin?
1. Insulin Lispro
2. Insulin Aspart
3. Insulin Glargine
4. Insulin Glulisine

Correct answer: 3. Insulin Glargine